Most abundant aminoacid in collagen is
1. Proline
2. Lysine
3. Threonine
4. Glycine

Correct answer: 4. Glycine

Explanation: COLLAGEN Collagens are triple helices formed by amino acid chains where every third residue is glycine (Gly-X-Y), with a high likelihood of proline and hydroxyproline/ hydroxylysine in the X and Y positions, respectively. Ref:- Review of Dermatology by Alikhan; pg num:-7